The most common neoplasm among HIV positive homosexual males:
1. Non-Hodgkin's lymphoma
2. Glomus tumor
3. Kaposi's sarcoma
4. None of the above

Correct answer: 3. Kaposi's sarcoma